Abroviral infection(s) include -a) Chikungunya feverb) West nile feverc)  JEd)  Sandfly fevere) Malaria
1. abcd
2. acd
3. bcd
4. abd

Correct answer: 1. abcd